Transamination of Aspartate forms
1. Pyruvate
2. Acetly CoA
3. Oxaloacetate
4. Alanine

Correct answer: 3. Oxaloacetate

Explanation: Aspartate on transamination gives rise to Oxaloacetate which initiates the TCA cycle. Aspartate aminotransferase catalyzes the reaction.Ref: Textbook of Biochemistry; DM Vasudevan; 7th edition; Page no: 226